True statement about gallstones are all except:
1. Lithogenic bile is required for stone formation
2. May be associated with carcinoma gallbladder
3. Associated with diabetes mellitus
4. More common in males between 30-40 years of age

Correct answer: 4. More common in males between 30-40 years of age

Explanation: Ans. (d) More common in males between 30-40 years of ageDiabetes mellitus and Gall stones:* Diabetes though not a direct risk factor for gall stones- the following factors in diabetes may increase the chance of getting Gall stones:# Increased Bile Cholesterol# Poor GB motility# Decreased Bile Acids